Hipper a sign that demonstrate alternative contraction and dilation of puils is seen in which poisoning?
1. Cannabis poisoning
2. Aconite poisoning
3. Nicotine poisoning
4. Amphetamine overdose

Correct answer: 2. Aconite poisoning

Explanation: Hipper is a classical sign of Aconite poisoning.